The secondary attack rate of measles is more than mumps. What is the conclusion?
1. Measles is more dangerous than mumps.
2. Mumps is more dangerous than measles.
3. Measles is more infectious than mumps.
4. Measles is more common than mumps.

Correct answer: 3. Measles is more infectious than mumps.

Explanation: Ans. c (Measles is more infectious than mumps). (Ref: Park PSM 22nd/pg. 58, 96)SECONDARY ATTACK RATE# It is defined as "the number of exposed persons developing the disease within the range of IP, following exposure to primary case"SAR =Number of exposed persons developing the disease within the range of IP------------------------------------------Total number of exposed/wsusceptible" contactsx 100# The primary case is excluded from both the numerator and denominator.# Case fatality rate is a measure of "killing power" of a disease.